CT findings of acute pancreatitis are all except:
1. Dilatation of pancreatic duct
2. Fuzzy outline of pancreas
3. Parapancreatic fluid collection
4. Edematous pancreas

Correct answer: 1. Dilatation of pancreatic duct

Explanation: Ans. Dilatation of pancreatic duct